True about malignant glaucoma:
1. Anterior chamber normal
2. Misdirected aqueous flow
3. Pilocarpine is the drug of choice
4. Management is medical only

Correct answer: 2. Misdirected aqueous flow

Explanation: B i.e. Misdirected aqueous flow